Glucose can be synthesised from all except-
1. Amino acids
2. Glycerol
3. Acetoacetate
4. Lactic acid

Correct answer: 3. Acetoacetate

Explanation: C i.e. Acetoacetate